Dead Layer of epidermis-
1. Stratum basale
2. Stratum spinosum
3. Stratum corneum
4. Stratum granulosum

Correct answer: 3. Stratum corneum

Explanation: Stratum corneum the outermost layer of the epidermis made up of terminally differentiated, dead keratinocytes known as corneocytes. Corneocytes are devoid of cytoplasm and organelles, but loaded with keratin filaments in an amorphous protein matrix, which is held together by the cornified envelope. Ref Harrison20th edition pg 1233